Least blood gas partition coeficient anesthetic agent:
1. Desflurane
2. Nitrous oxide
3. Halothane
4. Ether

Correct answer: 1. Desflurane

Explanation: A i.e. Desflurane